Surgery indicated for ptosis in Horner's syndrome
1. Fasanella - servat
2. Levator resection
3. Blaskovics operation
4. Frontalis sling

Correct answer: 1. Fasanella - servat

Explanation: Fasanella - servat indications:

Mild ptosis with good levator action.
Horner's syndrome.